Radiographic appearance of Pindborg's tumor is:
1. Onion - peel appearance
2. Sunburst appearance
3. Cherry - blossom appearance
4. Driven - snow appearance

Correct answer: 4. Driven - snow appearance

Explanation: Radiographic appearance of Pindborg's tumor is driven - snow appearance. Ref: Oral Pathology By ShaferHine Levy, 4th Edition, Pages 286-7; Burket's Oral Medicine, 9th Edition, Pages 163-4